Condylomata lata are seen in – a) Congenital syphilisb) Primary syphilisc) Secondary syphilisd) Tertiary syphilis
1. a
2. ac
3. ad
4. b

Correct answer: 2. ac

Explanation: Condyloma lata is mucosal lesion seen in secondary syphilis (Harrison 17h/e 1040) and congenital syphilis (Harrison 17thie 1042).